A 32-year-old asymptomatic woman with Pap's smear report of ASCUS. The possible management options could be all except:
1. High risk HPV DNA testing
2. Repeat contesting at 1 year
3. Colposcopy
4. Repeat contesting at 3 yr.

Correct answer: 4. Repeat contesting at 3 yr.

Explanation: Ans. D. Repeat contesting at 3 yr.